Hering Breuer reflex is an increase in-
1. Duration of inspiration
2. Duration of expiration
3. Depth of inspiration
4. Depth of expiration

Correct answer: 2. Duration of expiration

Explanation: Ans. (b) Duration of expiration(Ref: Ganong, 25th ed/p.658)Hering-Breuer inflation reflex response consists of,#Slowing of respiratory frequency#Increase in duration of expiration#Bronchodilation#Increased heart rate#Slight vasoconstriction